In which of the following pathologic calcification the normal calcium metabolism is seen
1. Metastatic calcification
2. Dystrophic calcification
3. Ionotropic calcification
4. Radiation calcification

Correct answer: 2. Dystrophic calcification

Explanation: B. i.e. (Dystrophic calcification) (26- 27- Basic pathology 8th)Differences between Dystrophic and Metastatic calcificationFeatureDystrophicMetastatic1. DefinitionDeposition of calcium salts in dead and degenerated tissueDeposits of calcium salts in normal tissues2. Calcium metabolismNormalRearranged3. Serum calcium levelNormalHypercalcemia4. CausesNecrosis (Caseous - Tuberculosis) Liquefactive - Chronic abscess**Fat - Acute pancreatitisTraumatic fat necrosis -Breast1. Increased secretion of parathyroidhormone (PTH)*Hyperparathyroidism, (due to adenoma, hyperplasia)2. Destruction of bone tissue*Multiple myelomas, leukemia, Breast cancer, Paget disease, prolonged immobilization3. Vitamin-D related disorders* Hypervitaminosis - D* Idiopathic hypercalcemia of infancy (Williams syndrome)4. Renal failure secondary hyperparathyroidism less common* Milk-Alkali syndrome*** Aluminum intoxication5. PathogenesisAkin to the formation of normal hydroxyapatite involving phases of initiation and propagationFavoured by relatively high pH (alkaline) at certain sites eg. In lungs, stomach, blood vessels and cornea